Rhinoscleroma occurs due to -
1. Autoimmune cause
2. Inflammatory cause
3. Klebsiella rhinoscleromatis infection
4. Mycotic infection

Correct answer: 3. Klebsiella rhinoscleromatis infection

Explanation: Ans. is 'c' i.e., Klebsiellarhinoscleromatis infectionRhinoscleromao The causative organism is Klebsiellarhinoscleromatisor Frisch bacillus, which can be cultured from the biopsy material.o The disease is endemic in several parts of world,o In India, it is seen more often in northern than in the southern parts.o Biopsy shows infiltration of submucosa with plasma cells, lymphocytes, eosinophils, Mikulicz cells & Russell bodies.o The latter tw o are diagnostic features of the disease.o The disease starts in the nose & extends to nasopharynx, oropharynx, lary nx, trachea & bronchi,o Mode of infection is unknow n,o Both sexes of any age may be affected.